Which of the following is true about Secular trend -
1. Road side accident is a good example
2. Due to environmental factors
3. Is due to normally occuring variation in herd immunity
4. Consistent change in a particular direction over a period of time

Correct answer: 4. Consistent change in a particular direction over a period of time

Explanation: Ans. is 'd' i.e., Consistent change in a particular direction over a period of time The term 'Secular trend' implies changes in the occurrence of disease i.e. a progressive increase or decrease in incidence over a long period of time, such as several years or decades.